Superior cervical ganglion
1. Is the smallest cervical ganglion
2. Gives rise to plexus around internal carotid artery, a part of which supplies sphincter pupillae
3. Deep petrosal nerve of pterygopalatine ganglion is derived from plexus around internal carotid artery
4. Left superior cervical cardiac branch goes to deep cardiac plexus

Correct answer: 3. Deep petrosal nerve of pterygopalatine ganglion is derived from plexus around internal carotid artery

Explanation: Superior cervical ganglion is largest cervical ganglion. The plexus formed around internal carotid artery supplies dilator pupille. Superior cervical cardiac branch on left goes to superficial cardiac plexus,while that on right goes to deep cardiac plexus.